D-dimer is the most sensitive diagnostic test for
1. Pulmonary embolism
2. Acute pulmonary oedema
3. Cardiac tamponade
4. Idiopathic pulmonary fibrosis

Correct answer: 1. Pulmonary embolism

Explanation: The quantitative plasma D-dimer ELISA rises in the presence of DVT or pulmonary embolism because of the breakdown of fibrin by plasmin.The sensitivity of the D-dimer is >95% for pulmonary embolism.This test is less sensitive for DVT(80%) than for PE because the DVT thrombus size is smaller.But this assay is not specific.Levels increase in patients with MI,pneumonia,sepsis,cancer,post operative period & in the second and third trimesters of pregnancy. Reference:Harrison's medicine-18th edition,page no:2172.